Finding on histopathological examination in liver in case of malaria is -
1. Microabscess formation
2. Kupffer's cell hyperplasia with macrophage infiltration around periportal area laden with pigments
3. Non caseating granuloma
4. Non specific finding of neutrophilic infiltration

Correct answer: 2. Kupffer's cell hyperplasia with macrophage infiltration around periportal area laden with pigments

Explanation: Ans. is 'b' i.e. Kupffer's cell hyperplasia with macrophage infiltration around periportal area laden with pigments o In severe infections with plasmodium falciparum, the vital organs are packed with erythrocytes containing mature form of the parasite. o There is abundant intra and extraerythrocytic pigment and organs such as liver, spleen and placenta may be grey black in colour. Liver and spleen in severe malaria Liver is generally enlarged and may be black from malarial pigment. o There is congestion of the centrilobular capillaries with sinusoidal dilatation and kupffer cell hyperplasia The Kupffer cells are heavily laden with malarial pigment, parasites and cellular debris. Sequestration of parasitized erythrocytes is associated with variable cloudy swelling of the hepatocytes and perivenous ischemic change and sometimes centrizonal necrosis. Hepatic glycogen is often present despite hypoglycemia. o The spleen is often dark or black from malarial pigment, enlarged, soft and friable. It is full of erythrocytes containing mature and immature parasites. o There is evidence of reticular hyperplasia and architectural reorganization. o The soft and acutely enlarged spleen of acute lethal infections contrasts with the hard fibrous enlargement associated with repeated malaria.